Hofmann elimination is seen in -
1. Atracurium
2. Pancuronium
3. d-TC
4. Vecuronium

Correct answer: 1. Atracurium

Explanation: Ans. is 'a' i.e., Atracurium The unique feature of atracurium is inactivation in plasma by spontaneous nonenzymatic degradation (Hofmann elimination) in addition to that by alkaline ester hydrolysis.